One year old male child with cat's reflex and raised IOT
1. Toxoplasma gondi infection
2. Toxocara canies
3. Retinoblastoma
4. Retinopathy of prematurity

Correct answer: 3. Retinoblastoma

Explanation: Most common age of presentation in Retinoblastoma is within 18 months Refer khurana 6/e